Drug of choice for rapid cyclers in manic-depressive psychosis is -
1. Carbamazepine
2. Valproate
3. Phenytoin
4. Lithium

Correct answer: 2. Valproate

Explanation: Ans. is 'b' i.e., Valproate orT Valproate is particularly useful for rapid cyclers.